Spontaneous muscle bleeding is typically seen in:
1. Hemophilia
2. Afibrinogenemia
3. Von Willebrand's disease
4. Scott's syndrome

Correct answer: 1. Hemophilia

Explanation: Answer is A (Hemophilia) Spontaneous Hemarthrosis and spontaneous muscle hematomas are charachteristic of moderate or severe congenital factor VIII or IX deficiency (Hemophilia). Spontaneous bleeding may also be seen in Afibrinogenemia, Von willebrand disease and Scott's syndrome (defect in platelet's activated surface that promotes thrombin formation), but it is most charachteristic (Hallmark) of Hemophillia or factor VIII & IX Deficiency. -